Food poisoning is seen with -
1. Staph aureus
2. Staph. epidermidis
3. Strep. pyogenes
4. Staph saprophyticus

Correct answer: 1. Staph aureus